True about CI perfringens are all except:
1. Invasive as well as toxigenic
2. Alpha toxin is detected by Naegler's reaction
3. Beta toxin is most important in gas gangrene
4. Theta toxin is perfringolysin

Correct answer: 3. Beta toxin is most important in gas gangrene

Explanation: Ans. is. 'c' i. e. Beta toxin is most important in gas gangrene